Components of IDEAS include all of the following except-
1. Self care
2. Communication and understanding
3. Economic condition
4. Performing in work

Correct answer: 3. Economic condition

Explanation: Ans. is `c' i.e., Economic condition Indian Disability EN aluation and Assessment Seale (IDIEAS1 A scale for measuring and quantifying disability in mental disorders. Developed by the Rehabilitation Committee of Indian Psychiatric Society, Decemcber 2000. The scale includes four components or items as described below.